Mechanism of action of apixaban is:
1. Inhibition of factor Xa
2. Inhibition of thrombin
3. Stimulation of antithrombin
4. Vitamin K antagonism

Correct answer: 1. Inhibition of factor Xa

Explanation: Ans. a. Inhibition of factor XaRef: Goodman Gilman 12th e/P 866Oral Factor Xa InhibitorsApixabanRivaroxabanEdoxaban